Rinsing of the impression is important to
1. Remove excess impression material
2. Remove saliva
3. Hydrate the impression
4. Accelerate the setting

Correct answer: 2. Remove saliva